Treatment of stage-I endometrial carcinoma is :
1. Surgery
2. Chemotherapy
3. Radiotherapy
4. Hormone therapy

Correct answer: 1. Surgery

Explanation: Surgical staging, abdominal hysterectomy, bilateral salpingooophorectomy, omentectomy and pelvic as well as paraaortic lymph node sampling remains the cornerstone in the management of early endometrial cancers. Reference: Shaw's Textbook of Gynaecology 16th edition page no 511